Predisposing factors for colon ca are -
1. Animal fat consumption
2. Familial adenomatous polyposis
3. Ulcerative colitis
4. All

Correct answer: 4. All

Explanation: Answer 'a' i.e. Animal fat consumption; 'b' i.e. Familial adenomatous polyposis; 'c' i.e. Ulcerative colitis